Drug contraindicated in an asthmatic female for treatment for glaucoma -
1. Prostaglandin
2. Timolol
3. Apraclanidine
4. Bromonidine

Correct answer: 2. Timolol

Explanation: Ans. is 'b' i.e., Timolol o As you all know b2 receptors cause bronchodilatation, blockade of b2, mediated bronchodilatation can precipitate bronchospasm and acute attack of asthma.o Timolol is a non-selective b-blocker (blocks b1 and b2 receptors). Therefore, it can precipitate acute attack of asthma.